Choline in seminal fluid is detected by
1. Barberio test
2. Florence test
3. ELISA
4. Agglutination inhibition

Correct answer: 2. Florence test

Explanation: Florence test - Detection of choline.
Barberio's test - Detection of spermine.